Which of the following represents the surface marking of the aortic valve:
1. Sternal end of the left 3rd costal cartilage
2. Sternal end of the right 3rd costal cartilage
3. Behind the sternum in left 3rd intercostal space
4. Behind the sternum in right 3rd intercostal space

Correct answer: 3. Behind the sternum in left 3rd intercostal space

Explanation: Aortic valve is represented by an oblique line (2.5 cm) running inferolaterally and to the right from the medial end of the left third intercostal space (and behind the corresponding region of the sternum).